The patient presented with chest pain to the emergency room and dies within 12 hours of arrival. After 5 days, autopsy shows necrosis in the Myocardium. What is the type of necrosis?
1. Coagulative
2. Fibrinoid
3. Caseous
4. Liquefactive

Correct answer: 1. Coagulative

Explanation: Ans-ARef: Chapter I. Ceil injury; page: 15: Robbins and Cot ran Pathologic Basis of Disease: 8th edition).Explanation:Organs with end arterial blood supply will show usually the Coagulative type of necrosis; solid organs like a heart will always show Coagulative necrosis.Caseous necrosis is usually seen in tuberculosis. and shows associated granulomatous inflammation.Liquefactive necrosis is usually seen in brain parenchyma.Fibrinoid necrosis is a special form of necrosis seen in the immune complex-mediated destruction of blood vessels like in various types of vasculitis.